Phenytoin pharmacokinetics is highlighted by which of the following characteristics ?
1. High first pass metabolism
2. Nonsaturation kinetics of metabolism
3. Capacity limited metabolism saturating at higher therapeutic concentration range
4. Extrahepatic metabolism

Correct answer: 3. Capacity limited metabolism saturating at higher therapeutic concentration range